JAK/STAT signalling cascade is employed by:
1. Growth hormone
2. Thyroid hormone
3. Insulin
4. Glucocorticoids

Correct answer: 1. Growth hormone

Explanation: Growth hormone receptor is a transmembrane receptor which is associated with JAK-STAT pathway signalling. Other hormone which has JAK-STAT signalling is prolactin Hormone which also acts transmembrane receptor which has intrinsic tyrosine kinase activity- Insulin, growth factors.